Anti–depressant drug that can be safely used in children
1. Imipramine
2. Fluoxetine
3. Dothiepin
4. Respiridone

Correct answer: 2. Fluoxetine